Circulus arteriosus iridis major is formed by the anastomosis of
1. Long posterior ciliary arteries with short posterior ciliary arteries
2. Long posterior ciliary arteries with anterior conjunctival arteries
3. Long posterior ciliary arteries with anterior ciliary arteries
4. Anterior ciliary arteries with short posterior ciliary arteries

Correct answer: 3. Long posterior ciliary arteries with anterior ciliary arteries

Explanation: Anterior ciliary arteries: These are derived from the muscular branches of ophthalmic artery. These arteries pass anteriorly in the episclera, give branches to sclera, limbus and conjunctiva; and ultimately pierce the sclera near the limbus to enter the ciliary muscle; where they anastomose with the two long posterior ciliary arteries to form the circulus arteriosus major, near the root of iris. Reference :- A K KHURANA; pg num:-136